Treatment of TOF
1. Modified BT shunt
2. Fontan procedure
3. Glenn shunt
4. Rastelli operation

Correct answer: 1. Modified BT shunt

Explanation: Ans. is 'a' i.e., Modified BT shunt Tetrology of fallot Cyanonic heart disease (MC). Defect in infundibular septum leads to : Pulmonary stenosis. VSD (Not ASD) Dextroposition and overriding of aorta. Right ventricular hypertrophy (NOT LVH). Pink TOF (Acyanotic TOF) when PS is mild to moderate, balanced shunt across the VSD, pt does not have cyanosis. The modified Blalock-Taussig shunt is currently the most common aortopulmonary shunt procedure and consists of a Gore-Tex conduit anastomosed side to side from the subclavian artery to the homolateral branch of the pulmonary artery Fontan procedure - Pulmonary ateria with intact uentricular septum. Glenn shunt - Anastomosis between SVC and pulmonary artery (tricuspid atresia) Rastelli operation - Double outlet right ventricle with pulmonary stenosis